ASO (Antistreptolysin 0) test is used for the diagnosis of
1. Rheumatoid arthritis
2. Typhoid fever
3. Rheumatie fever
4. Rickettsial fever

Correct answer: 3. Rheumatie fever